Mr James has just been diagnosed with Myasthenia gravis. You are his physician and considering different Therapies for his disease. Neostigmine and pyridostigmine may cause which of the following
1. Bronchodilation
2. Diarrhea
3. Cycloplegia
4. Inversible inhibitor action of acetylcholinesterase

Correct answer: 2. Diarrhea

Explanation: Ref-KDT 6/e p101 Neostigmine and pyridostigmine are reversible chlolinesterase inhibitors that can cause cholinergic adverse effects like diarrhea and increase secretions